When the drug binds to the receptor and causes action opposite to that of agonist is called as
1. Complete agonist
2. Partial agonist
3. Inverse agonist
4. Neutral agonist

Correct answer: 3. Inverse agonist

Explanation: In pharmacology, an inverse agonist is a drug that binds to the same receptor as an agonist but induces a pharmacological response opposite to that of the agonist Ref-KDT 7/e p42